Pavlov's experiment is an example of
1. Operant conditioning
2. Classical conditioning
3. Learned helplessness
4. Modeling

Correct answer: 2. Classical conditioning

Explanation: IVAN Pavlov gave the theory of classical conditioning Theory of classical conditioning leads to phobia A child who was bullied in a playground------------- develops aversion to the playground the boy who bullied him----------------------------after sometime even without the boy who bullied him the aversion and anxiety gets conditioned to the playground----------------this would be very distressing to the individual--- he will start avoiding the situation( playground)------- he finds there is no anxiety on avoidance--------- He continues to avoid the situation as avoidance behavior acts as a negative reinforcement---- slowly after several years he presents with dysfunction (lack of extracurricular activities) Ref.Kaplon and sadock, synopsis of psychiatry, 11 th edition, pg no. 398